Which of the followign drugs require dose adjustment in renal failure?
1. Cefoperazone
2. Doxycycline
3. Streptomycin
4. Rifampicin

Correct answer: 3. Streptomycin

Explanation: Ans. (C) Streptomycin(Ref: Katzung 10/e p835 KDT 8/e p746)Streptomycin is an aminoglycoside and require dose adjustment in renal failure whereas doxycycline, rifampicin and cefoperazone are secreted in bile and do not require dose adjustment in renal failure.